Bucket handle tear at knee joint is due to:
1. Injury to medial collateral ligament
2. Injury to lateral collateral ligament
3. Injury to ligamentum patellae
4. Injury to menisci

Correct answer: 4. Injury to menisci

Explanation: D i.e. Injury to Meniscus The commonest type of medial meniscal injury in a young adult is the bucket handle tearQ. This is vertical longitudinal tear that is complete